Supraorbital and Supratrochlear arteries are branches of which of the following -
1. Ophthalmic artery
2. Maxillary artery
3. ECA
4. ICA

Correct answer: 1. Ophthalmic artery